Bitemporal hemianopia is seen in the lesion of:
1. Lateral geniculate body
2. Optic nerve
3. Optic chiasma
4. Optic tract

Correct answer: 3. Optic chiasma

Explanation: Ans. C: Optic chiasma Bilateral/Bitemporal hemianopia is a loss of temporal field vision in both eyes. This may be caused by a lesion that affects the centre of the optic chiasm and damages fibres from the nasal halves of the retina as they decussate. It is usually caused by the tumours in the region of sella turcica, pressure by a suprasellar aneurysm or by chronic arachnoiditis Possible causes of this condition include: Pituitary tumour Craniopharyngioma Suprasellar meningioma